Aortic opening is present at the vertebral level of
1. T8
2. T10
3. T12
4. T11

Correct answer: 3. T12

Explanation: The aortic hiatus is a opening in the diaphragm. It is the lowest and most posterior of the large apertures. It is located approximately at the level of the twelfth thoracic vertebra (T12). ref - semantischolar.org